Slapped cheek sign is seen in -
1. Parvovirus B19
2. JC virus
3. Rota virus
4. Mumps

Correct answer: 1. Parvovirus B19

Explanation: parvo virus B19 causes erythema infectiosum it start with erythema of cheeks called slapped cheek appearance REF:ANATHANARAYANAN MICROBIOLOGY NINTH EDITION PAGE.554